The membranous labyrinth develops from
1. First pharyngeal pouch
2. First pharyngeal cleft
3. Otic vesicle
4. Meckel's cartilage

Correct answer: 3. Otic vesicle

Explanation: The membranous labyrinth of the internal ear is derived from the otic vesicle The surface ectoderm on either side of the hindbraint thickens to form otic placodes. The otic placodes invaginate to form otic vesicles. The otic vesicles further divides into 2 components that develop into structures of the membranous labyrinth: The ventral component forms the saccule and cochlear duct The dorsal component forms the utricle, semicircular canals, endolymphatic duct. Ref: Inderbir Singh Human Embryology 11 e pg 328.